Branched septate hyphae found on corneal smear in a case of corneal ulcer is:
1. Candida
2. Mucor
3. Aspergillus
4. Histoplasma

Correct answer: 3. Aspergillus

Explanation: Ans. (c) Aspergillus Ref. Ananthanarayan p 613, 9/e, p 609; Harrison 19/e, p 1345, 18/e, p 1658 Already explained